Sickle cell anemia is the clinical manifestation of homozygous genes for an abnormal haemoglobin molecule. The event responsible for the mutation in the b chain is:
1. Insertion
2. Deletion
3. Non-disjunction
4. Point mutation

Correct answer: 4. Point mutation

Explanation: - Sickle cell disease is a common hereditary hemoglobinopathy caused by point mutation resulting in replacement of Glutamic acid by Valine at 6th position of b-globin chain.